Most common tumour of pancreas is -
1. Adeno-carcinoma
2. Squamous cell carcinoma
3. Adeno-squamous cell carcinoma
4. Duct cell adeno carcinoma

Correct answer: 4. Duct cell adeno carcinoma

Explanation: Ans. is 'd' i.e., Duct cell adenocarcinoma